Microangiopathic hemolytic anemia with thrombocytopenia and renal insufficiency is commonly seen in young children with:
1. Sickle cell anemia
2. Hemolytic uremic syndrome
3. Malaria
4. SLE (systemic lupus erythematosus)

Correct answer: 2. Hemolytic uremic syndrome

Explanation: b. Hemolytic uremic syndrome(Ref: Nelson's 20/e p 2508, Ghai 8/e p 492)Neurologic findings (due to microthrombi formed in vessels of CNS) are present in TTP in addition to the triad seen in HUS (Microangiopathic hemolytic anemia, Thrombocytopenia and Renal failure).